Recurrent laryngeal nerve has close relation to
1. Superior thyroid artery
2. Middle thyroid vein
3. Inferior thyroid artery
4. Inferior parathyroid

Correct answer: 3. Inferior thyroid artery